Q mix consists of:
1. Chlorhexidine
2. Triclosan analogue
3. EDTA
4. All of the above

Correct answer: 4. All of the above

Explanation: Q MIX
Composition
EDTA+ Chlorhexidine + Triclosan analogue
Types

Q-mix I
Q-mix II

Physical Characteristics

Colorless
Odourless

Method of Use
To be used as a final rinse. Continuous irrigation of root canal is done for 60 to 90 seconds.
Functions

Kills 99.99% planktonic bacteria.
Penetrates biofilm.